The principle cell in granuloma
1. Fibroblast
2. Epithelioid cell
3. Giant cell
4. Plasma cell

Correct answer: 2. Epithelioid cell

Explanation: Ans. (b) Epithelioid cell(Ref: Anderson 10th ed pg 583)Macrophages (also known as histiocytes) are the cells that define a granulomaThe macrophages in granulomas are often referred to as "epithelioid"Epithelioid macrophages differ from ordinary macrophages in that they have elongated nuclei that often resemble the sole of a slipper or shoe.These changes are thought to be a consequence of "activation" of the macrophage by the offending antigen.